In sub-acute toxicity studies, the drug is given to animals for
1. Single dose
2. 2-12 weeks
3. 6-12 months
4. 1-3 years

Correct answer: 2. 2-12 weeks

Explanation: PRECLINICAL TOXICITY STUDIES Acute toxicity studies Single escalating doses are given to small group of animals and the animals are observed for 1-3 days. LD50 is calculated. Organ toxicity is examined by histopathology. Sub-acute toxicity studies Repeated doses of the drug are given for 2-12 weeks. Animal are examined for overt effects, food intake, body weight, hematology Chronic toxicity studies The drug is given for 6-12 months. Animal are examined for overt effects, food intake, body weight, hematology